True about parotid tumor:a) Pleomorphic adenoma is the most common varietyb) Malignant disease is most common varietyc) Facial nerve involvement indicates malignancyd) Superficial paroditectomy is the t/t of choice
1. abc
2. acd
3. bc
4. bde

Correct answer: 2. acd

Explanation: In parotid tumors, rapid growth, pain, paraesthesia, enlarged cervical LN and restriction of jaw movements, facial weakness or skin invasion and fixation of mastoid tip is suggestive of malignant transformation.